Blood loss in class III hemorrhagic shock
1. < 750 mL
2. 750 - 1500 mL
3. 1500 - 2000 mL
4. > 2000 mL

Correct answer: 3. 1500 - 2000 mL

Explanation: Class I - < 750 mL
Class II - 750 - 1500mL
Class III - 1500 - 2000mL
Class IV - 2000mL.